Which of the following is False regarding H.Pylori infection
1. With chronic infection urease breath test become negative
2. H.Pylori infection remain lifelong if untreated
3. Endoscopy is diagnostic
4. Toxigenic strains usually causes ulcer

Correct answer: 1. With chronic infection urease breath test become negative

Explanation: Ans. is 'a' i.e with chronic infection urease breath test becomes negative The urease breath test does not become negative after chronic infection it becomes negative after treatment.